In renal transplantation, graft is placed in:
1. Upper retroperitoneal space
2. Iliac fossa
3. Normal anatomical site
4. None

Correct answer: 2. Iliac fossa

Explanation: RENAL TRANSPLANTATION PROCEDURE Renal graft is placed in iliac fossa in retroperitoneal position, leaving the native kidney in-situQ Donor renal vein is anastomosed to external iliac veinQ Donor renal artery on Carrel's patch (Small portion of surrounding aorta) of donor aorta is anastomosed to external iliac arteryQ If donor renal artery lacks aortic patch (in cases of living donor renal transplantation), graft renal artery is anastomosed to internal iliac arteryQ Ureter is kept reasonably short to avoid distal ischemia & anastomosed to bladder by: Lich-Gregoir Technique (PreferredQ): Direct implantation of ureter into dome of bladder with mucosa to mucosal anastomoses followed by closure over ureter to create a short tunnel Lead-Better Politano techniqueQ